The retina is an out growth of the ?
1. Mesencephalon
2. Diencephalon
3. Telencephalon
4. Pons

Correct answer: 2. Diencephalon

Explanation: Ans. is 'b' i.e., Diencephalon Diancephalon forms - optic cup and stalk, pituitary, thalmus, hypothalmus, epithalmus, pineal gland (or epiphysis), and 3rd ventricle (most part). Retina develops from walls of optic cup. The outer thinner layer becomes retinal pigmented epithelium and inner thicker layer forms neural layer of retina.